Tc labelled RBC's are used in which of the following condition?
1. Biliary disease
2. Renal disease
3. Pulmonary embolism
4. Splenic disease

Correct answer: 4. Splenic disease

Explanation: Pulmonary embolism is diagnosed by angiography or V/P scans.